Prolonged intake of PPI does not cause
1. Hypothyroidism
2. Pelvic fracture
3. Clostridium difficile infection
4. Increased community acquired pneumonia

Correct answer: 1. Hypothyroidism

Explanation: Long-term acid suppression, especially with PPIs, has been associated with A higher incidence of community-acquired pneumonia Community and hospital acquired Clostridium difficile associated disease. Long-term use of PPIs was associated with the development of hip fractures in older women. PPIs may exert a negative effect on the anti-platelet effect of clopidogrel. The mechanism involves the competition of the PPI and clopidogrel with the same cytochrome p450 (CYP2C19).